In IVP, Adder head appearance is seen in:
1. Polycystic kidney
2. Horse shoe kidney
3. Ureterocele
4. Hydronephrosis

Correct answer: 3. Ureterocele

Explanation: Ureterocele is a cystic dilatation of the distal ureter. Cobra head or Adder head appearance is diagnostic of ureterocele. Spider leg appearance in polycystic kidney. Ref: Bailey & Love, 25th Edition, Page 1290